Not true about FOS phenytoin is:
1. Used for generalised tonic clonic seizures
2. Produrg
3. Lipid soluble
4. Highly protein bound

Correct answer: 3. Lipid soluble

Explanation: Lipid soluble